Duration of isolation for bacterial meningitis?
1. Until culture is negative
2. 24 hrs of antibiotic treatment
3. 7 days of subside of fever
4. 3 days of neck rigidity

Correct answer: 2. 24 hrs of antibiotic treatment

Explanation: Ans. (b) 24 hrs of antibiotic treatment Ref. Park 22/e 112 Patient of meningitis to be isolated until six hours of effective antibiotic therapy Disease Duration of isolation Chickenpox Until all lesion crusted (usually about 6 days after rash) Measles From the onset of catarrhal stage through third day of rash Hepatitis A 3 weeks Influenza Till 3 days of onset Polio 2 weeks adult; 6 weeks paediatrics Tuberculosis Until 3 weeks of effective chemotherapy Herpes zoster 6 days after onset of rash Mumps Until swelling subsides Pertussis 4 weeks or until paroxysms ceases Pharyngitis 6 hours of effective antibiotic therapy